In root fracture 4 angled radiograph are taken at:
1. 110 degree
2. 90 degree
3. 45 degree
4. All of the above.

Correct answer: 4. All of the above.

Explanation: other than these 3, 1more is taken that is occlusal film.